Which is not true regarding zona pellucida
1. It surrounds morula
2. It is acellular
3. Acetylcholine is the barrier
4. It surrounds the ovum

Correct answer: 3. Acetylcholine is the barrier

Explanation: C. i.e. Acetylcholine is a barrier